Adder Head" appearance is found in:
1. X-ray
2. USG
3. IVP
4. CT

Correct answer: 3. IVP

Explanation: VP